Which of the following is a K+ Channel Opener
1. Verapamil
2. Nicorandil
3. Ranolazine
4. Lignocaine

Correct answer: 2. Nicorandil

Explanation: Nicorandil Nicorandil is a niacinamide derivative - used as a second line anti-anginal drug - Its mechanism of action involves opening ATP sensitive K+ channels and by mediating nitrovasodilation. * Apart from the anticipated nitrates like side effect of Headache, Nicorandil can cause serious adverse effects involving ulceration of skin, mucous membrane, eyes and the gastrointestinal tract. Contraindications to Nicorandil:- Absolute C/I:- * Patients with hypovolaemia, cardiogenic shock or acute pulmonary edema * Patients on Sildenafil (PDE-5 inhibitor) , Riociguat (soluble guanylate cyclase stimulator) Relative C/I or Cautious use in: - * Patients with NYHA III/IV Heart Failure * G6PD deficiency (risk of methhemoglobinaemia) * Patients taking Dapoxetine (risk of orthostatic hypotension) * Patients with renal dysfunction and drugs causing hyperkalemia Ref:- KD Tripathi's Essentials of Medical Pharmacology 8th Ed; Pg Num:- 585